All are true about amoebic liver abscess except?
1. Sterile pus
2. Amoebae reach the right lobe > left lobe
3. Intercostal tenderness
4. Hepatocellular jaundice

Correct answer: 4. Hepatocellular jaundice

Explanation: Ans. (d) Hepatocellular jaundiceRef:Manipal manual of surgery ,4th ed./520* The anchovy sauce pus of ameobic liver abscess is sterile and is produced due to broken RBCs and damaged hepatocytes.* Due to right branch of portal vein being more in line with portal vein the organism will have higher chances of seeding in the right lobe than the left lobe.* Most patients will be male and alcoholic from lower socio-economic background and will present with severe right hypochondrium pain and symptoms of pleurisy and right shoulder pain.* On examination intercostal tenderness is seen* Bed side USG is the investigation of choice.* Jaundice is not seen usually or if seen is of obstructive type.